Drawer test is used for testing damage to
1. Meniscus
2. Cruciate ligament
3. Collateral ligament
4. Articular cartilage

Correct answer: 2. Cruciate ligament

Explanation: Ans. b (Cruciate ligament). (Ref. Maheshwari, Orthopaedics, 2nd/ 288)Drawer test is used for testing damage to cruciate ligament.# Routine test for cruciate ligament stability are based on examining for abnormal gliding movements in the sagittal plane with both knees flexed at 90deg & the feet resting on the couch, the upper tibia is inspected from the side, if its upper end has dropped back or can be gently pushed back, this indicates tear of the post cruciate ligament (the sag sign) with the knee in the same position the foot is anchored by the examiner sitting on it provided this is not painful, then using both hands the upper end of the tibia is grasped firmly & rocked backwards & forwards to see if there is any anteroposterior glide.# Excessive anterior movement (a positive anterior drawer sign) denotes anterior cruciate laxity excessive posterior movement.# A positive posterior drawer sign signifies posterior cruciate laxity.# Lachman test is safe to perform in cases of acute knee injury when ACL tear is suspected.